Which type of Amyloidosis is caused by mutation of the transthyretin protein ?-
1. Familial Mediterranean fever
2. Familial amyloidotic polyneuropathy
3. Dialysis associated amyloidosis
4. Prion protein associated amyloidosis

Correct answer: 2. Familial amyloidotic polyneuropathy

Explanation: In contrast with familial Mediterranean fever, a group of autosomal dominant familial disorders is characterized by deposition of amyloid predominantly in the peripheral and autonomic nerves. These familial amyloidotic polyneuropathies have been described in kindreds in different parts of the world--for example, in Portugal, Japan, Sweden, and the United States. As mentioned previously, the fibrils in these familial polyneuropathies are made up of mutant forms of transthyretin (ATTRs). Robbins 9 th edition page no. 156